Which of the following anticancer drugs can cause a hypercoagulable state
1. 5–FU
2. L–asparginase
3. Melphalan
4. Carmustine

Correct answer: 2. L–asparginase

Explanation: L-asparginase causes the breakdown of aspargine and thus interferes with protein synthesis. It can inhibit the production of clotting factors (responsible for cerebral hemorrhage) as well as anti-clotting proteins (can lead to cortical vein thrombosis and other hypercoagulable states).